A lady presented with 7 weeks amenorrhea presented with slight vaginal spotting. CRL was 5mm with well- formed gestational sac with calculated GA of 5.6 weeks on TVS. Next line of management?
1. Wait for another 1 week and repeat TVS
2. Surgical or medical evacuation
3. Wait for another 4 weeks
4. Serum hCG levels

Correct answer: 1. Wait for another 1 week and repeat TVS

Explanation: Ans. is a, i.e. Wait for another 1 week and repeat TVSRef: Williams obstetrics, 24th edAn intrauterine gestational sac is reliably visualized with transvaginal sonography by 5 weeks, and an embryo with cardiac activity by 6 weeks.The embryo should be visible transvaginally once the mean sac diameter has reached 20 mm, otherwise the gestation is anembryonic.Cardiac motion is usually visible with transvaginal imaging when the embryo length has reached 5 mm. If an embryo less than 7 mm is not identified to have cardiac activity, a subsequent examination is recommended in 1 week.